In Bier's block aesthetic agent given by which route?
1. Intravenous
2. Peribulbar region
3. Retrobulbar area
4. Dermal

Correct answer: 1. Intravenous

Explanation: (Refer: Morgan and Mikhail's Clinical Anaesthesiology, 5th edition, pg no.1000)